A 40-year old male complains of a vague dragging sensation in his abdomen for the last 6 months. There was no history of fever, renal colic or dysuria. Physical examination reveals a blood pressure at 150/96 mm Hg. Renal ultraound : Bilaterally enlarged kidneys with multiple cysts. Urinary analysis: Mild Proteinuria WBCs 4/HPF (Normal: < 5/HPF) RBCs 10/HPF (Normal :< 5/HPF) The renal pathology was a result of -
1. Nephrolithiasis
2. Enlarged prosate
3. Polycystic kidney disease
4. Deposition of immune complexes in the glomeruli

Correct answer: 3. Polycystic kidney disease

Explanation: Polycystic kidney disease - Asymptomatic till fourth decade. Clinical manifestations -progressive bilateral formation of renal cysts, hypertension, abdominal mass, flank pain(frequent symptom in 60%of pts) . Pain may result from cyst hemorrhage , infection or nephrolithiasis. Gross hematuria resulting from cyst rupture occurs in 40%of patients in their course of disease and many will have recurrent episodes. Proteinuria is a minor feature. Ref:Harrison 20 th edition pg no 2152